Blodd agar is an example for -
1. Simple media
2. Complex media
3. Enriched media
4. Selective media

Correct answer: 3. Enriched media

Explanation: Enriched media: in these media substances such as blood,serum,or egg are added to a basal medium. They are used to grow bacteria which are more extracting in their nutritional needs. examples are blood agar, choclate agar and egg media REF:Ananthanarayan & Panicker's Textbook of Microbiology 8th Edition pg no : 40